1st Symptom to go with treatment of schizophrenia
1. Apathy
2. Anhedonia
3. Auditory hallucination
4. Paucity of thoughts

Correct answer: 3. Auditory hallucination

Explanation: C i.e. Auditory hallucinations